"Fleischer ring" is a distinct feature of
1. Keratoconus
2. Pterygium
3. Congenital ocular melanosis
4. Congenital epithelial Melanosis

Correct answer: 1. Keratoconus